What is the chief disadvantage of a nonfunctional fixed space maintainer?
1. Prevent lateral jaw growth
2. Difficult to fabricate
3. Difficulty in maintaining proper oral hygiene
4. Continued eruption of opposing tooth

Correct answer: 4. Continued eruption of opposing tooth